What is the type of Antagonism when 2 different drugs act on 2 different sites on the same cell and their response is opposite to each other ?
1. Chemical antagonism
2. Physiological antagonism
3. Competitive antagonism
4. Reversible antagonism

Correct answer: 2. Physiological antagonism

Explanation: Physiological antagonism - 2 different chemicals acting on different sites of the same cell and resulting in opposite response in its pharmacological effect is termed as Physiological antagonism. e.g Histamine acting on H1 receptors causes Bronchoconstriction while Adrenaline acting on Beta 2 receptors causes Bronchodilation. Both these receptors are present on bronchial smooth muscles but produce opposite response to each other.